Homonal changes in PCOD
 (i) LH is elevated 
 (ii) Total free estrone is decreased 
 (iii) Insulin is elevated 
 (iv) SHBG is increased 
 (v) Progesterone is decreased
1. False, False, True, True, False
2. True, False, True, False, True
3. True, True, True, False, True
4. False, True, True, False, True.

Correct answer: 2. True, False, True, False, True